Nerve running along with profunda brachii artery, in spiral groove -
1. Ulnar
2. Median
3. Radial
4. None

Correct answer: 3. Radial

Explanation: Ans. is 'c' i.e., Radialo Profunda brachii is a branch of brachial artery. It accompanies radial nerve in spiral groove.